Which of the following reaction is affected in patients of scurvy?
1. Carboxylation
2. Acetylation
3. Hydroxylation
4. Transamination

Correct answer: 3. Hydroxylation

Explanation: Scurvy is due to deficiency of vitamin C. Vitamin C is required for lysyl and prolyl hydroxylases Vitamin C deficiency leads to defective post-translational modification of collagen - loss of tensile strength of blood vessels leading to:- - Bleeding gums -Ecchymoses - Easy bruisability -Poor wound healing (Features of scurvy).